Baby fed exclusively on goat's milk develop:
1. Megaloblastic anemia
2. Microcytic anemia
3. Hypochromic anemia
4. Normochromic anemia

Correct answer: 1. Megaloblastic anemia

Explanation: a. Megaloblastic anemia(Ref: Nelson's 20/e p 327, Ghai 8/e p 119)Goat's milk is a poor source of folate; Hence, babies fed exclusively on Goat's milk may develop Megaloblastic Anemia.